An increase in the concentration of 2,3 DPG may be seen in all of the following, except
1. Anemia
2. Hypoxia
3. Inosine
4. Hypoxanthine

Correct answer: 4. Hypoxanthine